According to Sigmund Freud, primary process thinking is -
1. Illogical & Bizarre
2. Rational
3. Absent during sleep
4. Logical & unconscious

Correct answer: 1. Illogical & Bizarre

Explanation: Primary process (related to Id):- Unorganized & non-logical thinking.
Secondary process (related to Ego):- Reality oriented, goal-directed, logical, rational, concrete and/or abstract conceptual thinking.